In the management of stores VED, D stands for:
1. Discrete
2. Desirable
3. Decide
4. Definite

Correct answer: 2. Desirable

Explanation: VED ANALYSIS Vital drugs: Items whose absence cannot be tolerated (10% of total items). Essential drugs: Items whose absence can be tolerated for some time (40% of total items). Desirable drugs: Items whose absence can be tolerated for long time (50% of total items). ALSO REMEMBER ABC analysis: Always better control. SDE analysis: Scarce - Difficult - Easy availability. FSN analysis: Fast moving - Slow moving - Non moving.